Which of the following nerves stress not contain parasympathetic motor fibres
1. 111
2. IV
3. IX
4. X

Correct answer: 2. IV

Explanation: Refer katzung 10e p 75,kdt 6/e p89 parasympathetic system is craniosacral in outflow. Cranial part involves 111(occulomotor),V11(fascial), 1X(trigeminal) and X(vagus) Whereas sacral flow include S2 to S4